Heinz bodies are removed by?
1. Macrophages
2. Lymphocytes
3. Neutrophills
4. Fibroblasts

Correct answer: 1. Macrophages

Explanation: Ans. is 'a' i.e., Macrophages Heinz bodies* Heinz bodies are formed by damage and denaturing to the hemoglobin component of red blood cells, most commonly by oxidative stress, rarely by genetic abnormalities in hemoglobin.* The oxidative stress denatures portions of the hemoglobin, causing the hemoglobin to precipitate and produce Heinz Bodies, which becomes an antigenic agent. Thus, macrophages detect the antigen and remove the damaged portions of the cell, its damaged membrane and the denatured hemoglobin (now called the Heinz Body).* These are associated clinically with congenital hemolytic anemia, G6PD deficiency, hemolytic anemiasecondary to drugs such as phenocetin, some hemoglobinopathies (thalossemia), and after splenectomy.